An 18 month baby with poor feeding & fever since 3 days is brought with lower limb weakness. On examination, he has lethargy, abnormal movement of lower limbs & anterior fontanelle is bulging. What is the diagnosis:
1. Intra cranial hemorrhage
2. Psuedotumor cerebri
3. Meningitis
4. Cerebral palsy

Correct answer: 3. Meningitis

Explanation: Given case scenario suggests the diagnosis of Meningitis BACTERIAL MENINGITIS: MC organism causing Bacterial Meningitis in neonates - E.coli , Group B streptococci In Infants & older children - streptococcus pneumoniae Clinical features in infants & Neonates: Irritability Shrill cry Seizures Tense, bulging anterior fontanelle Diagnosis: CSF examination PCR to detect bacterial DNA Treatment: Empirical intravenous therapy with third generation Cephalosporin. Therapy is usually administered for 3 weeks in neonates and for 7-10 days in older children. Note: Nuchal rigidity and Kernig and Brudzinski signs are frequently seen in adults but are not present in the neonate with meningitis. Other option: Intracranial hemorrhage - Would not cause fever.